External cephalic version is contraindicated in all except:
1. Antepartum haemorrhage
2. Multiple pregnancy
3. Contracted pelvis
4. Breech presentation

Correct answer: 4. Breech presentation

Explanation: Ans: D i.e. Breech presentation Indications for external cephalic version are breech presentation & transverse lie.